In the management of severe acute malnutrition (SAM) child, iron should be started
1. Immediately
2. On day 2 start of stabilization phase
3. In Rehabilitation Phase, after fever subside
4. Iron should never be given

Correct answer: 3. In Rehabilitation Phase, after fever subside

Explanation: Do not given Iron is Stabilization Phase. If given Iron releases free radical, causing injury to GIT.
Iron should be started in Rehabilitation Phase (after day 7)